Golgi tendon is innervated by which nerve fibre?
1. Ia
2. Ib
3. II
4. III

Correct answer: 2. Ib

Explanation: Ans. B IbGOLGI TENDON ORGAN is embedded within the musculotendinous junction (90%) and in the tendon itself (10%).* They are stimulated by: Increased tension at muscle tendon* Afferent: Ib fiber (myelinated).* Mediates inverse stretch reflexExtra MileReflexAfferent fiberStimulusResponseGolgi tendon reflexIbMuscle contractionRelaxation of the muscleStretch reflexIaMuscle is stretchedContraction of the muscleFlexor - withdrawal reflexII, III, and IVPain, touchIpsilateral flexion, contralateral extension* Group III/IV afferent fibers are afferent arm of cardiovascular ventilatory reflex responses which are mediated in nucleus tractus solitarius and ventrolateral medulla. They facilitate central fatigue and are important in endurance sports.